Maximum cumulative dose of isotretinoin should not exceed
1. 60 mg/kg
2. 90 mg/kg
3. 90-120 mg/kg
4. 120-150 mg/kg

Correct answer: 4. 120-150 mg/kg

Explanation: Isotretinoin - Isomer of 13 cis retinoic acid Dose: 0.5-1 mg/kg/bwt Maximum cumulative dose: Should not exceed the maximum cumulative dose.